Bleeding crisis in acute idiopathic thrombocytopenic Purpura is managed by all except:
1. RhIG
2. Prednisolone
3. Intravenous immunoglobulin
4. Eltrombopag

Correct answer: 4. Eltrombopag

Explanation: Glucocorticoids and IVIg are the mainstays of medical therapy for acute ITP. IV Rh IG in acute ITP also increases platelet count. Thrombopoietin (TPO) receptor agonist eltrombopag interacts with transmembrane domain of human TPO receptor and induces megakaryocyte proliferation and differentiation from bone marrow progenitor cells. It is indicated for thrombocytopenia associated with chronic idiopathic thrombocytopenic purpura and not bleeding crisis.